All are premalignant conditions of the oral cavity except?
1. Chronic hyperplastic candidiasis
2. Oral submucosal Fibrosis
3. Snail track ulcer on tongue
4. Sideropenic dysphagia

Correct answer: 3. Snail track ulcer on tongue

Explanation: Conditions Associated with Malignant Transformation High-risk Lesions Medium-risk Lesions Low-risk or Equivocal-risk Lesions Erythroplakia Speckled Erythroplakia Chronic hyperplastic candidiasis Oral submucous fibrosis Syphilitic glossitis Sideropenic dysphagia \ (Paterson-Kelly syndrome) Oral lichen planus Discoid lupus erythematosus Discoid keratosis congenita Snail track ulcer on tongue: Seen in secondary syphilis , Benign in nature.